Contraindications of beta blockers are
1. Asthma
2. Myocardial infarction
3. Hypertension
4. Arrhythmia

Correct answer: 1. Asthma

Explanation: Ref:KD Tripathi pharmacology 7th edition (page.no: 146) the beta blocker is contraindicated in asthma because of beta 2 blocking effect (beta 2 agonist cause bronchodilation). Uses of beta blockers are Hypertension, Myocardial infarction, Pheochromocytoma, Cardiac arrhythmias, Thyrotoxicosis, MIGRAINE, essential tremors etc